In open-angle glaucoma investigation least done is
1. Indirect ophthalmoscopy
2. Tonometry
3. Direct ophthalmoscopy
4. Perimetry

Correct answer: 1. Indirect ophthalmoscopy

Explanation: Investigations to be done in open-angle glaucoma are :Slit lamp examinationTonometryGonioscopyDirect ophthalmoscopyPerimetry